The rate of oxygen consumption of odontoblasts is
1. 1.2 +/- 0.2 ml/min/ 100g of pulp tissue
2. 2.2 +/- 0.2 ml/min/ 100g of pulp tissue
3. 3.2 +/- 0.2 ml/min/ 100g of pulp tissue
4. 4.2 +/- 0.2 ml/min/ 100g of pulp tissue

Correct answer: 3. 3.2 +/- 0.2 ml/min/ 100g of pulp tissue